Battle sign associated with?
1. Fracture zygoma
2. Fracture anterior cranial fossa
3. Fracture middle cranial fossa
4. Nasoethmoidal fracture

Correct answer: 3. Fracture middle cranial fossa

Explanation: ANSWER: (C) Fracture middle cranial fossaREF: Dhingra 4th ed page 399See previous question for explanation